Bohr Effect is
1. Facilitates oxygen transport
2. Facilitates CO2 transport
3. Facilities Chloride transport
4. None

Correct answer: 1. Facilitates oxygen transport

Explanation: The Bohr effect is a physiological phenomenon first described in 1904 by the Danish physiologist Christian Bohr: hemoglobin's oxygen binding affinity is inversely related both to acidity and to the concentration of carbon dioxide. Ref: guyton and hall textbook of medical physiology 12 edition page number: 353,354,355